80 % of gall stones contain
1. Bile pigments
2. Cholesterol
3. Calcium salts
4. Phospolipids

Correct answer: 2. Cholesterol

Explanation: Answer- B. CholesterolTypes of gall stones-1. CholesterolPure cholesterol (10%)Mixed (70%)2. PigmentBlack pigment stonesBrown pigment stones